Enlargement of blind spot is a sign of:
1. Avulsion of optic nerve
2. Papillitis
3. Papilledema
4. Retinal detachment

Correct answer: 3. Papilledema

Explanation: Concentric enlargement of blind spot is the most common visual field defect in patients with papilledema.Compression,detachment ,and lateral displacement of the peripapillary retina appears to be the major reasons that the blind spot increases in size in patients with papilledema. Ref : Riordan-Eva P. (2011). Chapter 3. Ophthalmic Emergencies. In P. Riordan-Eva, E.T. Cunningham, Jr. (Eds), Vaughan & Asbury's General Ophthalmology, 18e.